Fatty acid found exclusively in breast milk is:-
1. Linoleic acid
2. Linolenic acid
3. Docosa hexanoic acid
4. Eichosa pentanoic acid

Correct answer: 3. Docosa hexanoic acid

Explanation: - Fatty acid found exclusively in breast milk: DHA (Docosa hexanoic acid) - It aids in development of brain by promoting myelination of neurons. OTHER ESSENTIAL FATTY ACIDS & THEIR RICH SOURCES: Linoleic acid, Arachidonic acid - Safflower oil Linolenic acid - flaxseed oil, soyabean oil Eichosa pentanoic acid - fish oils.